Shock is a circulatory disturbance characterized by
1. Increased blood pressure
2. Decreased volume of circulating blood
3. Elevated body temperature
4. Decreased volume of interstitial fluid

Correct answer: 2. Decreased volume of circulating blood